Hypoxia due to slowing of circulation is seen in which type of hypoxia?
1. Anemic hypoxia
2. Histotoxic
3. Heart disease
4. Stagnant

Correct answer: 4. Stagnant

Explanation: Ischemic hypoxia or stagnant hypoxia is due to slow circulation and is a problem in organs such as kidneys and heart during shock.Hypoxia due to anemia is not severe at rest unless Hb deficiency is marked. Anemic patients may have considerable difficulty during exercise because of limited ability to increase O2 supply to active tissues. In histotoxic hypoxia, hypoxia is due to inhibition of tissue oxidative processes. Most commonly seen with cyanide poisoning. Ref: Ganong's Review of medical physiology, 25th edition.Pg no.650,651